Inquest of Dowry death is done by:
1. Police
2. Magistrate
3. Coroner
4. Medical examiner

Correct answer: 2. Magistrate

Explanation: Ans. B: Magistrate Sec 304-B IPC (Dowry death): where the death of the woman is accused by any burn/bodily injury or occurs otherwise than under normal circumstances within seven years of her marriage and it is shown that soon before her death she was subjected to cruelty by her husband/relative in connection with demand of dowry shall be considered as dowry death In dowry deaths inquest should be carried out by a magistrate or police officer not below the rank of deputy superintendent of police.